Setting reaction of solution liners:
1. Chemical reaction
2. Physical evaporation
3. Both of the above
4. None

Correct answer: 2. Physical evaporation

Explanation: Solution Liners
Based on non aqueous solution of acetone, alcohol or ether. Eg: Varnish (COPAL WASH).
Composition:

10% copal resin.
90% solvent.

Setting reaction: Physical evaporation.

Thin film; copal resin remains.
Single layer of varnish covers 55% of surface area.
If 2-3 layers are applied; 6-80% area is covered.